Angiographically, the typical "beaded" or "pile of plates" appearance involving the internal carotid artery is observed in:
1. Takayu's disease
2. Non-specific aorto-arteritis
3. Fibromuscular dysplasia
4. Rendu-Osler-Weber Disease

Correct answer: 3. Fibromuscular dysplasia

Explanation: Ans. Fibromuscular dysplasia